Contents of broad ligament are all except
1. Round ligament
2. Uterine vessels
3. Infundibulopelvic Ligament
4. Internal pudendal artery

Correct answer: 4. Internal pudendal artery

Explanation: Internal pudendal artery is not content of broad ligament.